Thyroid function tests performed on serum from a 33-year-old woman reveal increased TSH, decreased total T4, decreased free T4, and decreased T3 uptake. Which of the following clinical features would be most likely to be seen in this patient?
1. Diarrhea
2. Heat intolerance
3. Hyperactivity
4. Weight gain

Correct answer: 4. Weight gain

Explanation: The laboratory studies are typical for primary hypothyroidism, in which the thyroid fails to produce adequate T4 despite appropriate TSH signals from the pituitary gland. Clinical features of hypothyroidism include weight gain, cold intolerance, hypoactivity, fatigue, lethargy, decreased appetite, constipation, weakness, decreased reflexes, facial and periorbital myxedema, dry and cool skin, and brittle hair. In contrast, diarrhea, heat intolerance and hyperactivity are features of hyperthyroidism. Ref: Molina P.E. (2010). Chapter 4. Thyroid Gland. In P.E. Molina (Ed), Endocrine Physiology, 3e.